Which of the following is a side effect of streptomycin ?
1. Phototoxicity
2. Hepatotoxicity
3. Ototoxicity
4. All of the above

Correct answer: 3. Ototoxicity